Which pox virus won't grow in egg, animal cells -
1. Cow pox
2. Vaccinia
3. Variola
4. Molluscum

Correct answer: 4. Molluscum

Explanation: Humans are the only susceptible hosts for molluscum contagiosum virus. The virus cannot be grown in eggs, tissue cultures or animals.
Vaccinia virus may be grown in a wide range of animals.
Variola can be grown in the monkey.
Cowpox virus, as the name suggests, infects cow; and also humans.